Which of the following is not seen in Nasopharyngeal Carcinoma?
1. Headache
2. Diplopia
3. Lymph Node involvement
4. Sneezing episodes

Correct answer: 4. Sneezing episodes

Explanation: Commonest presentation of Nasopharyngeal carcinoma(NPC) is Neck nodes involvement (>50% cases)Other symptoms:Nasal - Nasal obstruction, EpistaxisEar- Unilateral deafness, Tinnitus, Aural fullnessNeurological- Headache, Cranial nerve palsy (Commonest - 5th and 6th nerve)Ophthalmic- Diplopia (6th CN involvement), EpiphoraTrotter`s triad- Triad of Trigeminal neuralgia, Ipsilateral palatal immobility (9th nerve) and ipsilateral Conductive hearing loss (Serous otitis media) seen in NPC.Ref: Hazarika; 3rd ed; Pg: 525